Best site for 101 implant is:
1. Endocapsular
2. Scleral fixation
3. Anterior chamber
4. Iris claw implant

Correct answer: 1. Endocapsular

Explanation: Ans. Endocapsular